A child was brought to the emergency department with recurrent epistaxis. A detailed history revealed that he had a fall two days before, but he neglected because it didn't hurt him. Examination shows septal hematoma. Management of septal hematoma is:
1. Incision and drainage
2. Wait and watch
3. Only pressure bandage
4. All of the above

Correct answer: 1. Incision and drainage

Explanation: Septal hematoma is a complication of direct nasal trauma, often associated with fracture of the nasal septum with or without concomitant nasal bone fracture. Bleeding from submucosal blood vessels leads to an accumulation of blood between the mucoperichondrium and the septal cartilage, which may lead to ischemic avascular necrosis of the underlying cartilage, destruction of the cartilage and saddle deformity of the distal nose. Prompt incision of the hematoma and drainage through the mucosal surface is necessary.